Regarding antibiotic of choice for urinary tract infection (UTI) during pregnancy at third trimester;
1. Cephalosporin
2. Quinolones
3. Aminoglycosides
4. Tetracyclines

Correct answer: 1. Cephalosporin

Explanation: Usually a combination of ampicillin of cephalosporin and gentamicin is commended empirically and changed if necessary ,after the urine and blood culture results are obtained. Any of the following drugs can be used: Amoxicillin(500mg tid) Nitrofurantoin (100mg bid) Cephalexin(500mg tid) Amoxicillin-clavulanic acid(875mg bid) A Course of 10-14days will cure 70-100% of cases. Refer page no 274 of Text book of obsteics,sheila balakrishnan,2 nd edition and Textbook of Dutta, 9th edition,page 279.